What is not used in first trimester MTP -
1. Mifepristone and misoprostol
2. Dilatation and evacuation
3. Extra - amniotic instillation of ethacrydine lactate
4. Manual vacuum aspiration

Correct answer: 3. Extra - amniotic instillation of ethacrydine lactate

Explanation: Ans. is 'c' i.e., Extra - amniotic instillation of ethacridine lactate Methods of MTP (Medical Termination of pregnancy):A) First Trimester (Up to 12 weeks):1) Medical:o Mifepristoneo Mifepristone and misoprostolo Methotrexate and misoprostolo Tamoxifen and misoprostol2) Surgical:o Menstrual regulationo Vacuum aspiration (MVA or EVA)o Suction evacuation and or curettageo Dilatation and evacuationB) Second Trimester:o Prostaglandins; PGE1 (Misoprostol), 15 methyl PGF2alpha (Carboprost), PGE2 (Dinoprostone).o Dilatation and evacuationo Intrauterine instillation of hyperosmotic solutionsa) Intraamniotic hypertonic urea (40%), saline (20%)b) Extra-amniotic - Ethacridine lactate, Prostaglandins (PGE2, PGF2alpha)o Oxytocin infusiono Hysterotomy